A recurrent chalazion should be subjected to histopathologic evalution to exclude the possibility of -
1. Squamous cell carcinoma
2. Sebaceous cell carcinoma
3. Malignant melanoma
4. Basal cell carcinoma

Correct answer: 2. Sebaceous cell carcinoma

Explanation: Chalazion, also called a tarsal or meibomian cyst, is a chronic non-infective (non-suppurative) lipogranulomatous Inflammation of the meibomian gland. Commonest of all lid lumps. Recurrent Chalazion may undergo malignant change into meibomian gland adenocarcinoma (sebaceous cell carcinoma) usually in elderly. Ref:AK Khurana 6thE pg369 REF IMG